All of the following conditions cause an increase in AFP except?
1. Hepatoblastoma
2. Multiple gestation
3. Increased maternal weight
4. Anterior abdominal defect

Correct answer: 3. Increased maternal weight

Explanation: Decreased maternal weight is associated with an increase in AFP levels. Other causes of increased AFP levels are anencephaly, spina bifida, abdominal wall defects, renal anomalies, multiple pregnancy, IUFD and wrong gestational dates. Reference: Encyclopedia of Women's Health edited by Sana Loue, page 85.